Fetal exsanguination can occur if -
1. Vasa previa
2. Placentaprevia
3. Polyhydramnios
4. Oligohydramnios

Correct answer: 1. Vasa previa

Explanation: Ans. is 'a' i.e., Vasa previa Vasa previao In it a leash of blood vessels happens to traverse through the membranes overlying the internal os, in front of presenting part. Rupture of membranes involving the overlying vessels leads to vaginal bleeding. As it is entirely fetal blood, this may result in fetal exsanguination and even death.Placenta previao When placenta is implanted partially or completely over the lower uterine segment (over and adjacent to the internal os) it is called the placenta previa. The blood is almost is almost always maternal when bleeding occurs.